MEN 2A is associated with following except
1. Medullary Thyroid Carcinoma
2. Pituitary tumor
3. Pheochromocytoma
4. Hyperparathyroidism

Correct answer: 2. Pituitary tumor

Explanation: Multiple Endocrine Neoplasia (MEN) are of the following types: MEN type 1 (Wermer's syndrome) It includes adenomas of the parathyroid glands, pancreatic islets and pituitary gland. It is inherited as an autosomal dominant trait.Mutation of MENIN gene on chromosome 11q13 MEN type 2 (Sipple's syndrome) It is d/t mutation in RET gene. It is of two types:- i)MEN type 2A- it is the combination of medullary carcinoma thyroid, pheochromocytoma , hyperparathyroidism and Hirschprung disease - No fecal soiling. ii) MEN type 2B - it is the combination of medullary carcinoma thyroid, pheochromocytoma, mucosal neuromas ( m/c Lips, Buccal cavity )intestinal ganglioneuromatosis and marfanoid features, Everted eyebrows,Megacolon, tongue nodules and chronic constipation- fecal soiling Reference : Bailey and Love 27th ed.chapter 53 . pg no .857